Congestive heart failure is seen in all of the following except:
1. TAPVC
2. TOF
3. Coarctation of aorta
4. PDA

Correct answer: 2. TOF

Explanation: Ans. B: TOF Congenital heart defects are classified into two broad categories: Acyanotic-The most common acyanotic lesions are ventricular septal defect, atrial Septal defect, atrioventricular canal, pulmonary stenosis, patent ductus arteriosus, aortic stenosis and coarctation of the aorta. Congestive heart failure is the primary concern in infants with acyanotic lesions. Cyanotic-The most common cyanotic lesions are tetralogy of Fallot and transposition of the great arteries. In infants with cyanotic lesions, hypoxia is more of a problem than congestive heart failure. Suspicion of a congenital heart defect should be raised by the presence of feeding difficulties in association with tachypnea, sweating and subcostal recession, or severe growth impairment.